The lower lip gets its sensory supply through the:
1. Buccal branch of the facial nerve
2. Buccal branch of the mandibular nerve
3. Mandibular branch of the facial nerve
4. Mental nerve

Correct answer: 4. Mental nerve